Which one of the following is not a CT feature of Adrenal adenoma ?
1. Low attenuation
2. Homogeneous density and well defined borders
3. Enhances rapidly, contrast stays in it for relatively longer time and washes out late
4. Calcification is rare

Correct answer: 3. Enhances rapidly, contrast stays in it for relatively longer time and washes out late

Explanation: Ref: internet CT is often the modality which identifies an adrenal mass. Fortunately using density is highly sensitive and specific as 70% of adrenal adenomas contain significant intracellular fat. Lipid-poor adenomas are more difficult to diagnose because the CT density increases and approach those of soft tissue. For lipid-poor lesions, the 15 minutes post contrast >60% absolute It is important to note that hypervascular metastases may show identical washout values, particularly those from . An alternative diagnosis to adrenal adenoma must be considered when there is a value >120 HU on the portal venous phase, particularly in cases with a prior history of neoplasm